McNaughten's rule relates to?
1. Inquest
2. Professional secrecy
3. Criminal responsibility of insane
4. Medical negligence

Correct answer: 3. Criminal responsibility of insane

Explanation: Ans. c (Criminal responsibility). (Ref. Parikh, FMT, 5th ed., 538).The following are the tests for determining criminal responsibility of Insane.1. Me. Naughten Rule: "An accused person is not legally responsible, if it is clearly proved, that at the time of committing the crime, he was suffering from such a defect of reason from abnormality of mind, that he did not know the nature and quality of the act he was doing, or that what he was doing was wrong".This Legal test has been accepted in India as the Law of criminal responsibility and is included in Sec. - 84 IPC2. Durham Rule (1954)3. Curren's Rule (1961)4. The Irresistible Impulse Test5. The American Law Institute Test.